Pitolisant is approved for treatment of
1. Tenosynol giant cell tumor
2. Excessive day time sleepiness in patients with narcolepsy
3. Polyneuropathy due to transthyretin amyloidosis
4. Primary myelofibrosis

Correct answer: 2. Excessive day time sleepiness in patients with narcolepsy

Explanation: Pitolisant is a new drug approved for treatment of excessive day time sleepiness in patients with narcolepsy. It acts as inverse agonist of H3 receptors of histamine. New drugs recently approved for conditions mentioned in options are:* Tenosynol giant cell tumor: Pexidainib* Polyneuropathy in transthyretin amyloidosis: Tafamidis meglumine* Primary and secondary myelofibrosis: Fedratinib